Tigroid white matter on MR spectroscopy seen in:-
1. Pantothenate kinase deficiency
2. Pelizaeus-merzbacher disease
3. Neuroferritinopathy
4. Aceruloplasminemia

Correct answer: 2. Pelizaeus-merzbacher disease

Explanation: Ans. (b) Pelizaeus-merzbacher diseaseRef: Harrisons Principle of Internal Medicine 20th Ed; Page No- 3049* The Tigroid pattern or stripe sign is also known as leopard skin sign results from dark-spots or stripes (spared perivascular white matter) within bright demyelinated periventricular white matter on T2W images.* It is most commonly seen in:# Pelizaeus-Merzbacher disease (PMD) The human neural stem cells have both neurogenic and gliogenic potential, and when delivered to white matter regions in experimental animals most persisting cells had become oligodendrocytes. This supported use of the cells to promote myelin formation in conditions such as PMD.# Metachromatic leukodystrophy# Autosomal recessive spastic ataxia of Charlevoix